Elderly patient with fracture right hip anesthetic of choice-
1. Spinal/ epidural
2. General
3. Local infiltration
4. None of the above

Correct answer: 1. Spinal/ epidural

Explanation: Ans. is 'a' i.e., Spinal/epidural o Regional anaesthesia (spinal'epidural) is preferred in elderly high risk patients.